McNeal's peripheral zone in prostate gland is the seat of -
1. Benign Hypertrophy
2. Cancer
3. Prostatitis
4. Calculi

Correct answer: 2. Cancer